All are seen in albinism except:
1. Glaucoma
2. Photophobia
3. Refractive error
4. Nystagmus

Correct answer: 1. Glaucoma

Explanation: Ans. Glaucoma